Which of the following cholinomimetics activates both muscarinic and nicotinic receptors?
1. Methacholine
2. Bethanechol
3. Pilocarpine
4. Carbachol

Correct answer: 4. Carbachol

Explanation: Carbachol is a parasympathomimetic that mimicks the effect of Ach on both muscarinic and nicotinic receptors. It is a synthetic choline ester where others act on muscarinic receotors only. Ref: Katzung 13e pg:108